The oral mucosa becomes rigid, blanched and opaque in which of the following conditions?
1. Pemphigus vulgaris
2. Lupus erythematoses
3. Ehlers-Danlos syndrome
4. Submucous fibrosis

Correct answer: 4. Submucous fibrosis